Virchow method of autopsy includes?
1. Organs are removed en masse
2. Organs are removed en block
3. Organs are removed one by one
4. In situ dissection combined with en block removal

Correct answer: 3. Organs are removed one by one

Explanation: Ans. (c) Organs are removed one by oneRef. Parikh 6/e/5.71, Handbook of death and dying, vol.1, Clifton D. Bryant/530, 531, Ludwig J. Handbook of Autopsy Practice. 3/e, Totowa, NJ: Humana Press, 2002, Volmar KE. History of autopsy technique. In: Collins KA, Hutchins GM, eds. Autopsy performance and reporting. 2./e, Northfield, III, Col. of American Pathologister, 2003